Propranolol is useful in all EXCEPT:
1. Atrial flutter
2. Parkinsonian tremor
3. Thyrotoxicosis
4. Hypertrophic cardiomyopathy

Correct answer: 2. Parkinsonian tremor